In a fetus, testis lies at superficial inguinal ring at:
1. 6th month
2. 7th month
3. 8th month
4. 9th month

Correct answer: 3. 8th month

Explanation: Ans. C 8 monthsRef: Netter's Clinical Anatomy, 3rd ed. pg. 325Descent of testis3rd monthIliac fossa7th monthDeep inguinal ring7th monthTransits through inguinal canal8th monthSuperficial inguinal ring9th monthEnters the scrotum